Transfer of a portion of DNA from one bacterium to another by the bacteriophage is known as:
1. Transformation
2. Transduction
3. Transcription
4. Lysogenic conversion

Correct answer: 2. Transduction

Explanation: Ans. B. Transduction. (Ref. Ananthanarayan, Microbiology, 6th ed., 53).METHODS of TRANSMISSION OF GENETIC MATERIAL IN BACTERIAMethodSalient featuresTransformation- Transfer of genetic information through agency of free DNA.Transduction- Transfer of a portion of DNA from one bacteria to another by transduction phase.- It is not confined to transfer of chromosomal DNA. It transduces epizomes & plasmids also.- B'phages are viruses that parasitise bacteria & consist of nucleic acid core & a protein coat.- It is excellent tool for gene mapping of bacteria.Lysogenic conversion- Phage DNA becomes integrated with bacterial chromosome as prophage, which multiplies synchronously with host DNA & is transferred to daughter cells.-This is lysogeny & bacteria harbouring prophages are lypogenic bacteria. - In transduction phage acts as vehicle carrying bacteria genes from one cell to another but in lysogenic conversion phage DNA itself is new genetic element.Conjugation- Process where by 'male' or 'donor' bacteria mates or makes physical contact with female or recipient bacteria & transfer genetic element into it.Sexduction- Process of transfer of host genes through F factor resembles transduction known as sexduction.Conjugation, transduction, and transformation:Transfer procedureTransfer processTypes of cells involvedNature of DNA transferredConjugation:DNA transferred from 1 bacterium to anotherProkaryoticChromosomal or plasmidTransduction:DNA transferred by a virus from 1 cell to anotherProkaryoticAny gene in generalized transduction; only certain genes in specialized transductionTransformation:Purified DNA taken up by a cellProkaryotic or eukaryotic(e.g., human)Any DNA